Graft taken from identical twin is called as:
1. Autograft
2. Allograft
3. Isograft
4. Xenograft

Correct answer: 3. Isograft

Explanation: Isograft: Is a graft from a different individual genetically identical with recipient e.g. identical twin Autograft: Is to self Allograft: Graft from same species but different genotype (from one human to another human) Xenograft: Graft from different species (from animal to human)